Organism commonly causing sterility in pelvic Inflammatory disease is :
1. Gonococcus
2. Streptococcus
3. Staphylococcus
4. Hemophilus

Correct answer: 1. Gonococcus

Explanation: Gonococcus